Keratoderma-Blenorrhagicum is pathogno-monic of
1. Behcet's disease
2. Reiter's disease
3. Lyme's disease
4. Glucagonoma

Correct answer: 2. Reiter's disease

Explanation: Ans. is 'b' i.e., Reiter's disease Keratoderma Blenorrhagica is the characteristic skin lesion seen in patients with Reactive Arthritis. "The Characteristic skin lesions in Reactive Arthritis, Keratoderma Blenorrhagica, consist of vesicles that become hyperkeratotic, ultimately forming a crust before disappearing. These are seen in palms and soles.